Seminal stain can be detected by
1. Phenolphthalein test
2. Reine's test
3. Barberio's test
4. Paraffin test

Correct answer: 3. Barberio's test

Explanation: Test for seminal  stains

Creatine phosphokinase test
Acid phosphatase test
Florence test (Choline iodide crystals)
Barberio's test (Crystals of spesmin picrate).